1st formed dental tissue
1. Enamel
2. Dentin
3. Cementum
4. Bone

Correct answer: 2. Dentin